Malta fever is caused by:
1. Legionella
2. Borrelia burgdorferi
3. Brucella melitensis
4. Pseudomonas

Correct answer: 3. Brucella melitensis

Explanation: Ans. (c) Brucella melitensis